The doctrine of resipsa loquitur means -
1. Common knowledge
2. Medical maloccurance
3. Fact speaks for itself
4. Oral evidence

Correct answer: 3. Fact speaks for itself

Explanation: Ans-C Doctrine of res ipsa loquituro It means "the thing or fact speaks for itself".o In a case of professional negligence of a physician, the patient need not prove negligence.o It is applied when the following conditions are fulfilled :That is the absence of negligence the injury would not have occurred ordinarily.That the doctor had exclusive control over the injury-producing instrument or treatment.That the patient was not guilty of contributory negligence.